Which of the following is true about non-zinc alloys?
1. It is more plastic
2. It is more workable
3. It is less susceptible to oxidation
4. Useful in cases where its clinically impossible to eliminate moisture from the field of operation

Correct answer: 4. Useful in cases where its clinically impossible to eliminate moisture from the field of operation

Explanation: Amalgam not containing zinc or any of its substitutes will tend to be less plastic and less workable and more susceptible to oxidation. Non-zinc alloys should be chosen only in cases where clinically impossible to eliminate moisture from the field of operation.
Reference: Marzouk Operative dentistry, pg-111